Snow banking is not a feature of
1. Candidiasis
2. Multiple sclerosis
3. Chronic congestive glaucoma
4. Sarcoidosis

Correct answer: 3. Chronic congestive glaucoma

Explanation: Snow banking is seen in

Candidiasis
Multiple sclerosis
Sarcoidosis
Ocular toxocariasis
Para planitis